Common design which can be employed while fabricating a sanitary pontic:
1. Bar sanitary pontic.
2. Fish-belly pontic.
3. Perel pontic.
4. All of the above.

Correct answer: 4. All of the above.

Explanation: Fishbelly pontic is also known as conventional pontic.
Perel pontic is also known as modified sanitary pontic or arc-fixed partial denture.